True statement about the greater saphaneous vein is
1. Ascends posterior to medial malleolus
2. Drains into popliteal vein
3. Ascends posterior to medial condyles of tibia and femur
4. Runs deep to fascia lata of thigh

Correct answer: 3. Ascends posterior to medial condyles of tibia and femur

Explanation: Great saphaneous vein ascends superior to the fascia lata. It courses anterior to the medial malleolus, posterior to the medial condyles of tibia and femur and passes through saphaneous opening joins femoral vein. Ref: Gray's Anatomy The Anatomical Basics of Clinical Practice 41 e pg 1370,1371.